Which of the following is not affected in leprosy:
1. Uterus
2. Testes
3. Nerve
4. Eye

Correct answer: 1. Uterus

Explanation: Ans. A: Uterus Main organs/ tissue involved in leprosy are skin and peripheral nerves Systemic (eyes, testes and reticuloendothelial system) involvement is common Leprosy: Hansens disease Virchow cells are seen CNS, ovaries, lungs are NOT commonly involved in leprosy TT is the MC type of leprosy in India Tuberculoid leprosy: - Infective form Ulnar nerve is a commonly affected nerve - Followed by posterior auricular nerve Lepromatous leprosy: - Presents with gyanecomastia, madrosis, collapse of nasal bridge - Histologically, the dermis characteristically contains highly vacuolated cells (foam cells) and fewer or absent non-caseating granuloma 1st line drug: - Rifampicin - Dapsone - Clofazimine DOC in neuritis: Steroids Nerve abscess treated by: Incision and drainage Lepra reaction type 1: - Corticosteroids are the DOC - Unresponsive to thalidomide Lepra reaction type II: - Also known as erythema nodosum leprosum - Seen in lepromatous leprosy - Thalidomide is effective Lepromin test indicates strong immunity